Predominant cation of intracellular fluid
1. Na+
2. K+
3. Ca+2
4. H+

Correct answer: 2. K+

Explanation: K+ concentration in I.C.F is 155 mEq/L of H2O.(Ref: Textbook of physiology AK Jain 5th edition page no.26 table 1.3.3)